Acoustic neuroma causes
1. Cochlear deafness
2. Retrocochlear deafness
3. Conductive deafness
4. Vertigo

Correct answer: 2. Retrocochlear deafness

Explanation: The tumour almost arises from the Schwann cells of the vestibular, but rarely from the cochlear division of VIIIth cranial nerve. Acoustic neuroma causes progressive unilateral sensorineural hearing loss by pressure on cochlear nerve fibres. Ref: Textbook of diseases of ENT, PL Dhingra, 7th edition, pg no. 125